All of the statement are true about pyogenic granuloma except
1. Bacterial infection
2. Bleeding
3. Benign tumor
4. Capillary hemangioma

Correct answer: 1. Bacterial infection

Explanation: pyogenic granuloma it is benign tumor Type of capillary hemangioma which is often bleeds and is also ulcerated It is rapidly growing pedunculated red nodule tumor on the skin or gingival or oral mucosa 1/3rd of the lesions develop after trauma Refer robbins 9/e p516